Infective endocarditis is commonly seen in all except
1. Small VSD
2. Tetralogy of fallot
3. PDA
4. ASD

Correct answer: 4. ASD

Explanation: Answer is D (ASD) Endocarditis is unusual in sites with a small pressure gradient as in ASD ASD is low risk lesion for the development of infective endocarditis and the single best answer amongst the options provided